Taeniae coli is found is
1. Duodenum
2. Jejunum
3. Ileum
4. Ascending colon

Correct answer: 4. Ascending colon

Explanation: (Ascending colon) (254-BDC-2 4th)Differences between small intestine and the large intestineFeaturesSmall IntestineLarge Intestine1. Appendices epiploicaeAbsentPresent*2. Taeniae coliAbsentPresent*3. SacculationsAbsentPresent4. DistensibilityLessMore5. FixityGreater part is freely mobileGreater part is fixed6. VilliPresentAbsent7. Transverse mucosal foldsPermanentObliterated when longitudinal muscle coat relaxes8. Peyer's patchesPresent in ileumAbsent9. Common site for(a) Intestinal worms(a) Entamoeba histolytica (b) Typhoid(b) Dysentery organism (c) Tuberculosis(c) Carcinoma10. Effect of infection and irritationDiarrhoeaDysentery